A 12-year-old with fever, unilateral post auricular pain and mastoid bulging with displacing the pinna forward and outwards with loss of bony trabeculae. This patient has a history of chronic persistent pus discharge from the same ear. Treatment of choice is
1. Antibiotics only
2. Incision and drainage
3. Antibiotics with incision and drainage
4. Mastoidectomy with incision and drainage and antibiotics

Correct answer: 4. Mastoidectomy with incision and drainage and antibiotics

Explanation: Swelling behind the ear displacing pinna indicate mastoiditis It is treated by mastoidectomy Aim of cortical mastoidectomy is to exenterate all the mastoid air cells and remove any pockets of pus. Adequate antibiotic treatment must be continued at least for 5 days following mastoidectomy. Ref: Dhingra 7e pg 86.